Saccule develops from
1. Saccus anterior
2. saccus medius
3. Pars superior
4. Pars Inferior

Correct answer: 4. Pars Inferior

Explanation: ref : hazarika 4th ed